Amiloride can cause hyperkalemia due to its action on:
1. Potassium channel
2. Sodium channel
3. Na+ Cl- symporter
4. H+K+ATP ase

Correct answer: 2. Sodium channel

Explanation: Ans. B. Sodium channelAmiloride and triamterene are K+ sparing diuretic, they act by inhibiting epithelial Na+ channel. When they inhibit the sodium channel, there is no generation of electrical gradient and thus potassium and hydrogen are not excreted. They may be responsible for hyperkalemia.